Process cochleariformis attaches to:
1. Tendon of tensor tympani
2. Basal turns of helix
3. Handle of malleus
4. Incus

Correct answer: 1. Tendon of tensor tympani

Explanation: Anterior to oval window lies a hook-like projection called the processus cochleariformisQ for tendon of tensor tympani. The cochleariform process marks the level of the Genu of the facial nerve which is an important landmark for surgery of the facial nerve